Most common primary intraocular neoplasm in a child is ?
1. Metastasis
2. Retinoblastoma
3. Basal cell carcinoma
4. Squamous cell carcinoma

Correct answer: 2. Retinoblastoma

Explanation: Ans. is 'b' i.e., Retinoblastoma